Which one of the following drugs should be avoided in Wolff-Parkinson- White (WPW) Syndrome ?
1. Digoxin
2. Adenosine
3. Procainamide
4. Amiodarone

Correct answer: 1. Digoxin

Explanation: Digoxin should be avoided in the presence of Wolff-Parkinson-White syndrome because it increases conduction through the accessory bypass tract (bundle of Kent) and decreases AV node conduction; consequently, ventricular fibrillation can occur Ref Harrison 20th edition pg 1445